Most common location of ectopic submandibular salivary gland tissue is:
1. Cheek
2. Palate
3. Angle of mandible
4. Tongue

Correct answer: 3. Angle of mandible

Explanation: Ans. C: Angle of mandible Also called aberrant salivary gland tissue Normal salivary gland tissue at a site where normally not present Usually it is seen in head and neck. The most common salivary gland tissue is Stafne bone cyst. This presents as an asymptomatic, clearly defined radiolucency of the angle of the mandible, characteristically below the inferior dental neurovascular bundle. It is formed by the invaginationinto the bone on the lingual aspect of the mandible of na ectopic lobe of the juxtaposed submandibular gland. No treatment is required.